A Scatter diagram is drawn to study:
1. Trend of a variable over a period of time
2. Frequency of occurrence of events
3. Mean & median values of the given data
4. Relationship between two given variables

Correct answer: 4. Relationship between two given variables

Explanation: SCATTER DIAGRAM * Also known as 'Correlation diagram' or 'Dot diagram' Is used to depict 'correlation (relationship) between 2 quantitative variables' Vertical axis in scatter diagram: should be the dependent or the outcome variable In a scatter diagram, 2 imaginary lines are drawn along the distribution of dots/scatter